Antimalarial month is -
1. April
2. May
3. September
4. June

Correct answer: 4. June

Explanation: Anti malarial month : Antimalaria month is observed every year in the month of june throughout the country, prior to the onset of monsoon and transmission season, to enhance the level of awareness and encourage community participation through mass media campaign and interpersonal conmunication and consolidate intersectoral collaborative efforts with other government departments , corporate and voluntary agencies at national , state and district levels. {Reference :park's textbook of preventive and social medicine, 23rd edition, pg no.419}